Pulse pressure is -
1. 1/3 diastolic + 1/2 systolic B.P.
2. 1/2 diastolic + 1/3 systolic B.P.
3. Systolic – diastolic B.P.
4. Diastolic + 1/2 systolic B.P.

Correct answer: 3. Systolic – diastolic B.P.